Most common cause of anorectal abscess is ?
1. Inflammation of anal gland
2. Folliculitis
3. Inflammation of rectal mucosa
4. Rectum

Correct answer: 1. Inflammation of anal gland

Explanation: Ans. is 'a' i.e., Inflammation of anal gland